The new drug pemetrexed useful in breast cancer belongs to which of the following category of the drugs?
1. Antitumor agent
2. Alkylating agent
3. Hormonal agent
4. Antimetabolite

Correct answer: 4. Antimetabolite

Explanation: Pemetrexed injection treats lung cancer and belongs to the group of medicines called antineoplastics. It is used together with cisplatin (a cancer medicine) to treat a type of cancer called malignant pleural mesothelioma (MPM). This cancer affects the inside lining of the chest cavity. Pemetrexed injection may also be used alone or together with cisplatin to treat a type of lung cancer called nonsquamous non-small cell lung cancer. Mechanism of Action Antifolate antineoplastic agent Disrupts folate-dependent metabolic processes essential for cell replication USES: Malignant Pleural Mesothelioma Indicated for mesothelioma in combination with cisplatin in patients whose disease is unresectable or are not candidates for curative surgery Combination use with cisplatin: 500 mg/m2 IV over 10 minutes on Day 1 of each 21-day cycle; administer cisplatin (75 mg/m2 IV over 2 hr) 30 minutes after end of premetrexed infusion Nonsquamous Non-Small Cell Lung Carcinoma Indications Initial treatment: In combination with cisplatin for initial treatment with locally advanced or metastatic nonsquamous NSCLC Maintenance: Locally advanced or metastatic nonsquamous NSCLC in patients whose disease has not progressed after 4 cycles of platinum-based first-line chemotherapy After prior chemotherapy: As a single agent of locally advanced or metastatic nonsquamous NSCLC after prior chemotherapy Single-agent use: 500 mg/m2 IV infusion over 10 minutes on Day 1 of each 21-day cycle Combination use with cisplatin: 500 mg/m2 IV over 10 minutes on Day 1 of each 21-day cycle; administer cisplatin (75 mg/m2 IV over 2 hr) 30 minutes after end of premetrexed infusion. REFERENCE: www.medscape.com, www.mayoclinic.org